All the following structures pass through Aortic opening except
1. Aorta
2. Thoracic duct
3. Azygous vein
4. Right Phrenic Nerve

Correct answer: 4. Right Phrenic Nerve

Explanation: The aortic opening is osseoaponeurotic. It lies at the lower border of the 12th thoracic vertebra. It transmits:a. Aortab. Thoracic ductc. Azygos veinThe oesophageal opening lies in the muscular part of the diaphragm, at the level of the 10th thoracic vertebra. It transmits:a. Oesophagusb. Gastric or vagus nervesc. Oesophageal branches of the left gastric artery, with some oesophageal veins that accompany the arteries.The vena caval opening lies in the central tendon of the diaphragm at the level of the 8th thoracic vertebra. It transmits:a. The inferior vena cavab. Branches of the right phrenic nerve.c. Lymphatics of liverReference: Chaurasia Volume II; 7th edition; Page no: 363